Collet sicard syndromeis due to lesion of which of the following cranial nerves?
1. CN 5 & 6
2. CN 9, 10 & 11
3. CN 9, 10, 11 & 12
4. CN 3, 4 & 6

Correct answer: 3. CN 9, 10, 11 & 12